Guidelines for corect Nuchal translucency measurement are all except
1. Fetus must be in midsagittal plane
2. Fetal neck must be in a neutral position
3. The calipers must be placed parallel to long axis of fetus
4. Amnion must be seen as separate from NT line

Correct answer: 3. The calipers must be placed parallel to long axis of fetus

Explanation: The calipers must be placed perpendicular to long axis of fetus.